Drug effective against both hepatitis B as well as HIV is
1. Acyclovir
2. Foscarnet
3. Lamivudine
4. Cidofovir

Correct answer: 3. Lamivudine

Explanation: Lamivudine is NRTI used in both HIV and hepatitis B (low dose).Lamivudine is effective in chronic hepatitis B;this is due to longer intracellular t1/2 of lamivudine in HBV infected cells than in HIV infected cells. Acyclovir - effective against HSV-1>HSV-2>VZV=EBV. Foscarnet -effective against H.simplex,CMV,other herpes group viruses and HIV. Cidovofir- effective against HSV,CMV,pox and adenoviruses.